Artificial bruises are produced by -
1. Capsicum
2. Marking nut
3. Croton
4. Abrus precatorius

Correct answer: 2. Marking nut

Explanation: Marking Nut Botanical name: Semicarpus anacardium Common name: Marking nut, bhilawa, biba Medicolegal Importance 1. Accidental poisoning -- quack medicine 2. Juice is applied to external genitalia of female as punishment for infidelity 3. Used to fabricate bruise/wound 4. Juice is thrown over other person to cause harm/injury 5. Juice is applied to cervical os to procure criminal abortion 6. Skin lesion produced by marking nut may be confused with contusion. REF;THE SYNOPSIS OF FORENSIC MEDICINE:KS NARAYANA REDDY;28th EDITION;PAGE NO317